All of the following factors decrease the minimum alveolar concentration (MAC) of an inhalation anaesthetic agent except –
1. Hypothermia
2. Hyponatremia
3. Hypocalcemia
4. Anemia

Correct answer: 3. Hypocalcemia

Explanation: Hypercalcemia (not hypocalcemia) decreases MAC.

Factor's decreasing MAC :- Old age, acute alcohol intake, hypothermia, hyperthermia, hypercalcemia, hyponatermia,
hypermagnesemia, Hypoxia, Hypercarbia, Anemia, Pregnancy, drugs.
Factors increasing MAC :-Young age, chronic alcohol intake, hypematremia, Drugs.